Paramyxoviruses enters the body ?
1. Blood
2. Respiratory route
3. Conjunctiva
4. Fecal-oral route

Correct answer: 2. Respiratory route

Explanation: Ans. is 'b' i.e., Respiratory route Myxoviruses Myxoviruses are enveloped RNA viruses. They are characterized by ability to adsorb on to mucoprotein (affinity for mucin) on erythrocytes causing agglutination of erythocytes.